Which of the milestone develops first –
1. Mirror play
2. Crawling
3. Creeping
4. Pincer grasp

Correct answer: 1. Mirror play

Explanation: A child enjoys watching his own image in the mirror (mirror play) by 6 months.
A child crawls in the bed by 8 months.
Full creeping and crawling develop by 10 months.
Pincer grasps develops by 9 months.